True about Calcitonin are all except
1. Inhibit osteoclast mediated bone resorption
2. Increases phosphate excretion in kidneys
3. Useful in treating acute hypercalcemic crisis
4. Plays a major role in the regulation of calcium levels in humans

Correct answer: 4. Plays a major role in the regulation of calcium levels in humans

Explanation: Calcitonin is produced by thyroid C cells and functions As an antihypercalcemic hormone by inhibiting osteoclast-mediated Bone Resorption. Calcitonin production is stimulated By calcium and pentagastrin and also by catecholamines, cholecystokinin, And glucagon. When administered intravenously to Experimental animals, it produces hypocalcemia. At the kidney, Calcitonin increases phosphate excretion by inhibiting its reabsorption. Calcitonin plays a minimal, if any, role in the regulation of calcium levels in humans. It is very useful as a marker of MTC and in treating acute hypercalcemic crisis.